The best view to visualize zygomatic arches is
1. Jug Handle view
2. Occipito mental view
3. Orthopantamogram
4. Skull PA view

Correct answer: 1. Jug Handle view